Investigation of choice for meningeal carcinomatosis in CNS:
1. NE-CT
2. PET
3. SPECT
4. Gd-MRI

Correct answer: 4. Gd-MRI

Explanation: D i.e. Gd-MRI Investigation of choice for meningeal carcinomatosis is Gd enhanced MRIQ (especially for detection of focal spread, bulky disease and metastases from solid tumor). Demonstration of tumor cells/tumor markers in CSF is definitive & often considered gold standard; but has suboptimal/moderate overall sensitivity, and is more sensitive in detecting diffuse leptomeningeal involvement from hematological malignancy